DOC FOR INVASIVE ASPERGILLOSIS?
1. VORICONAZOLE
2. POSACONAZOLE
3. AMPHOTERICIN B
4. CASPOFUNGIN

Correct answer: 1. VORICONAZOLE

Explanation: REF : KD TRIPATHI 8TH ED